Insulin dependent entry of glucose is seen in ?
1. Liver
2. Brain
3. Heart
4. Kidney

Correct answer: 3. Heart

Explanation: Ans. is 'c' i.e., Heart